Suspended animation is seen in following except?
1. Sun stroke
2. Cerebral concussion
3. Cholera
4. Delerium tremens

Correct answer: 4. Delerium tremens

Explanation: Ans. is 'd' i.e., Delirium tremens Suspended animation may be seen in electrocution, drowning, cholera, after anesthesia, shock, sunstroke, cerebral concussion, narcotic poisoning, new born infants and yogis/voluntary.